What is choledocholithotomy
1. Removal of ureteric stone
2. Removal of gall stone
3. Removal of gall bladder
4. Removal of common bile duct stone

Correct answer: 4. Removal of common bile duct stone

Explanation: Choledocholithotomy is a procedure in which we are draining the CBD and removing the stones by a longitudinal incision in the duct. Reference:Bailey & Love's short practise of surgery,25 th edition ,page no:1126